Increased levels of haemoglobin A2 is characteristic of
1. Sickle cell trait
2. Beta-Thalassaemia trait
3. Glucose-6-phosphate dehydrogenase deficiency
4. Alpha-Thalassaemia

Correct answer: 2. Beta-Thalassaemia trait